All the following are the Non-contraceptive use of OCP's, except :
1. Carcinoma endometrium
2. Carcinoma breast
3. Rheumatoid arthritis
4. Endometriosis

Correct answer: 2. Carcinoma breast

Explanation: The combined pills should not be offered to a woman suffering from cancer of the breast. Some have reported the breast cancer in a nulliparous woman (25%) who has taken oral contraceptive pills before the age of 24 years for over a period of 4 years. This should be considered while prescribing oral pills to a young nulliparous woman. Lately, OC is proved to increase the risk of breast cancer in a high-risk woman. Progestogen component has a high potential for breast cancer. However, if breast cancer develops, it is well differentiated with good prognosis. The risk of malignancy disappears after 10 years of stoppage. Reference: Shaw's Textbook of Gynaecology 16th edition page 274